Retinal cells which secrete acetyl choline?
1. Bipolar cells
2. Ganglion cells
3. Amacrine cells
4. H cells

Correct answer: 3. Amacrine cells

Explanation: Ans. C. Amacrine cellsAmacrine cells secrete at least eight types of transmitter substances, including GABA, glycine, dopamine, acetylcholine and indolamine, all of which normally function as inhibitory neurotransmitters.